Gene not associated with Diabetes malitus -
1. PPARy
2. KCNJ11
3. CTLA4
4. PDGF-R

Correct answer: 4. PDGF-R

Explanation: Ans is 'd' i.e. PDGF-R PDGF-R gene is associated with glioma.Genelocus HLA-DQB1/IDDM16p21.3INS (insulin)11p15. 5CTLA4 (cytotoxic T lymphocyte-associated 4)2q31-35